Swiss cheese pattern of the endometrium is seen in
1. Carcinoma endometirum
2. Metropathia hemorrhagica
3. Hydatiform mole
4. Halban disease

Correct answer: 2. Metropathia hemorrhagica

Explanation: Anovulatory dysfunctional uterine bleeding -Three types*Puberty menorrhagia (threshold bleeding)*Metropathia hemorrhagica (during reproductive period)*Premenopausal menorrhagiaMetropathia hemorrhagica*Age group : 35-40 years *Clinical features : continuous and prolonged menstrual bleeding*Gross: Uterus bulky due to myometrial hyperplasiaHistology : Proliferative endometrial glands with "Swiss cheese pattern". Absence of secretory endometrial glands is characteristic of metropathia hemorrhagica. (Ref: Padubidri's gynecology)